In which of the following phases of clinical trials, healthy normal human volunteers participate:
1. Phase–I
2. Phase–II
3. Phase–III
4. Phase–IV

Correct answer: 1. Phase–I